Pulmonary circulation differs from systemic circulation
1. Pulmonary vasodilatation in hypoxia
2. Pulmonary vasoconstriction in hypoxia
3. Decreased blood volume during systole
4. Increased basal vasoconstrictor tone

Correct answer: 2. Pulmonary vasoconstriction in hypoxia

Explanation: Hypoxic pulmonary vasoconstriction (HPV), also known as the Euler-Liljestrand mechanism, is a physiological phenomenon in which small pulmonary arteries constrict in the presence of alveolar hypoxia (low oxygen levels). Ref: guyton and hall textbook of medical physiology 12 edition page number: 354,355,356